A patient who has had a skiing accident is brought to the emergency room. The region around his knee is swollen. The skin of his foot is pale and no dorsalis pedis pulse can be detected. An X-ray reveals a fracture of the femur immediately proximal to the femoral condyles. Which of the following arteries has been compressed by the displacement of this fracture?
1. Anterior tibial artery
2. Femoral artery
3. Popliteal artery
4. Posterior tibial artery

Correct answer: 3. Popliteal artery

Explanation: The patient has suffered a supracondylar fracture of the femur. The supracondylar surface of the femur forms the floor of the popliteal fossa. This fossa contains the popliteal artery, in close proximity to the femur. After crossing the knee this artery divides into the anterior and posterior tibial arteries, which supply the leg and foot.Note:The anterior tibial artery is a branch of the popliteal artery that arises distal to the knee and would therefore not be compressed by a femoral fracture. The anterior tibial artery is renamed the dorsalis pedis artery after it crosses the ankle. The femoral artery is in the anterior compartment of the thigh. After passing through the adductor hiatus to reach the popliteal fossa, the femoral artery is renamed the popliteal artery. The posterior tibial artery is a branch of the popliteal artery that arises distal to the knee and would therefore not be compressed by a femoral fracture. The posterior tibial artery passes through the posterior compartment of the leg and, after passing behind the medial malleolus of the ankle, divides into the medial and lateral plantar arteries. Ref: Morton D.A., Foreman K.B., Albertine K.H. (2011). Chapter 36. Thigh. In D.A. Morton, K.B. Foreman, K.H. Albertine (Eds), The Big Picture: Gross Anatomy.